Methylation of cytosine is associated with
1. Mutation
2. Increased expression of gene
3. Decreased expression of gene
4. No effect

Correct answer: 3. Decreased expression of gene

Explanation: DNA methylation is essential for normal development and is associated with a number of key processes including genomic imprinting, X-chromosome inactivation, repression of transposable elements, aging, and carcinogenesis. Two of DNA's four bases, cytosine and adenine, can bemethylated Ref satyanarayana 4e